Water lily sign is seen in
1. TB
2. Aspergillosis
3. Hydatid cyst
4. Cryptococcosis

Correct answer: 3. Hydatid cyst

Explanation: Classical signs of pulmonary hydatid cyst on chest X-rayUncomplicated hydatid cystComplicated hydatid cystWell circumscribed round radio-opacity (resembling canon ball on AP and rugby ball on lateral projection)Crescent signPolycyclic and bilobed appearanceCumbo or double arch signSlot sign (impending rupture)Waterlily or camelotte signRising sun signDry cyst sign(Ref: Chapman and Nakielny's Aids to Radiological Differential Diagnosis 6thEtd, page no.82)